Which of the following laryngeal muscle act as an abductor of vocal cord?
1. Lateral cricoarytenoid
2. Posterior cricoarytenoid
3. Cricothyroid
4. Aryepiglotticus

Correct answer: 2. Posterior cricoarytenoid

Explanation: Posterior cricoarytenoid muscle is the main abductor of the vocal cord. It is located on the dorsal surface of posterior lamina of the cricoid. The adductors of larynx are thyroarytenoid muscle, lateral cricoarytenoid muscle, and interarytenoid muscle. Muscle Nerve Adductors (lateral crico arytenoid, thyroarytenoid, interarytenoids) Recurrent laryngeal nerve Posterior cricoarytenoid Recurrent laryngeal nerve Cricothyroid External laryngeal nerve